Twin pregnancy, but due to two different men is called:
1. Superfetation
2. Superfecundation
3. Both of the above
4. None

Correct answer: 2. Superfecundation

Explanation: Ans. Superfecundation